Agents Recommended for treatment of chronic Hepatitis B include all of the following, Except.
1. Interferon
2. Lamuvudine
3. Adefovir
4. Famcyclovir

Correct answer: 4. Famcyclovir

Explanation: Answer is D (Famcyclovir) Fannyclovir is not an approved drug for treatment of chronic hepatitis B Seven drugs have been approved for treatment of chronic Hepatitis B (Harrisons) Interferon alpha and Pegylated Interferon (PEG) Lamuvudine (oral) Adefovir (oral) Entecavir (oral) Dipivoxil (oral) Telbivudine Tenofovir